Earliest sign of raised ICT is:
1. Erosion of dorsum sella
2. Copper beaten appearance
3. Silver beaten appearance
4. Displacement of pineal gland

Correct answer: 1. Erosion of dorsum sella

Explanation: Erosion of dorsum sella